Cartilage in trachea ?
1. Hyaline
2. Elastic
3. Articular
4. Fibro

Correct answer: 1. Hyaline

Explanation: Ans. is 'a' i.e., Hyaline